SPECT Stands for
1. Single Proton Emission Computed Tomography
2. Single Positron Emission Computed Tomography
3. Single Photon Emission Computed Tomography
4. Single Positive Emission Computed Tomography

Correct answer: 3. Single Photon Emission Computed Tomography

Explanation: SPECT stands for Single Photon Emission Computed Tomography, It uses a 360 degree revolving Gamma Camera and Acquires 3D images using Tc99m labelled radioisotopes like HMPAO (Hexamethylpropyleneamine oxime).